PAN-SH site of fatty acid synthase complex accepts:
1. Acetyl CoA
2. Malonyl CoA
3. Propionyl CoA
4. All

Correct answer: 2. Malonyl CoA

Explanation: B i.e. Malonyl CoA